Which one of the following diseases has the shortest incubation period -
1. Salmonella food poisoning
2. Staphylococcus food poisoning
3. Cholera
4. Diphtheria

Correct answer: 2. Staphylococcus food poisoning

Explanation: IP of staphylococcal food poisoning is 1-8 hours. Reference:Park's textbook of preventive and social medicine,K.Park,23rd edition,page no:238.